A 26 year old female patient complains of discoloration between her upper front teeth. Intra-oral examination reveals proximal caries between upper right and left central incisors extending lingually. Which technique of instrument grasp will most likely be used for the preparation of these teeth?
1. Modified pen grasp
2. Inverted pen grasp
3. Palm and thumb grasp
4. Modified palm and thumb grasp

Correct answer: 2. Inverted pen grasp

Explanation: Inverted Pen Grasp - The finger positions of the inverted pen grasp are the same as for the modified pen grasp. The hand is rotated, however, so that the palm faces more toward the operator. This grasp is used mostly for tooth preparations employing the lingual approach on anterior teeth.
Ref: Sturdevant's art and science of operative dentistry. 4th edition page 315-316.